Hydrocele in a child managed by:
1. Herniotomy
2. Plication of sac
3. Eversion of sac
4. Inversion of sac

Correct answer: 1. Herniotomy

Explanation: Ans. (a) HerniotomyRef-.Bailey and Love 26th ed., ch. 79 /1382* Congenital hydroceles are treated by herniotomy if they do not resolve spontaneously* Lord's operation is suitable when the sac is reasonably thin-walled. There is minimal dissection and the risk of haematoma is reduced.* Eversion of the sac with placement of the testis in a pouch prepared by dissection in the fascial planes of the scrotum is an alternative (Jaboulay's procedure)* Aspiration of the hydrocele fluid is simple, but the fluid always reaccumulates within a week or so. It may be suitable for men who are unfit for scrotal surgery